Which of the following is an indication for magistrate Inquest?
1. Dowry death
2. Death in police custody
3. Exhumation
4. All of the above

Correct answer: 4. All of the above

Explanation: Indication for magistrate Inquest are :

Death in mental asylum, police firing, Custodial death, borstal school death, Dowry deaths, and exhumation.